Secondary prevention is applicable to
1. Casual factors
2. Early stage of disease
3. Late stage of disease
4. General population

Correct answer: 2. Early stage of disease

Explanation: Secondary prevention includes early diagnosis and treatment, so it aims at preventing a disease progressing to complications Ref: Park's textbook of preventive and social medicine; 23rd edition; Pg no: 42